The dose of misoprostol in emergent management of PPH:
1. 200 mcg
2. 400 mcg
3. 600 mcg
4. 800 mcg

Correct answer: 4. 800 mcg

Explanation: Ans. is d, i.e 800 mcgRef. JB Sharma Obs, Pg 338, 341Dose of misoprost for preventing PPH (i.e. AMTSL) = 600 mcg orally.Dose of misoprost for treating PPH = 800 mcg sublingually